Rosette shaped cataract is seen in -
1. Trauma
2. Radiation
3. DM
4. Iridocyclitis

Correct answer: 1. Trauma

Explanation: Concussion cataract occurs mainly due to inhibition of aqueous and partly due to direct mechanical effects of the injury on lens fibres. Following types of cataract occurs :- i) Discrete subepithelial opacities; ii) Early rosette cataract (punctate); iii) Late rosette cataract; iv) Zonular cataract; v) Diffusion cataract; vi) Early maturation of senile cataract.